Which of the following is spread from animals to man
1. T. Rubrum
2. T. tonsurans
3. E. Floccosum
4. T. Verrucosum

Correct answer: 4. T. Verrucosum

Explanation: Trichophyton verrucosum, commonly known as the cattle ringworm fungus, is a dermatophyte largely responsible for fungal skin disease in cattle but is also a common cause of ringworm in donkeys, dogs, goat, sheep, and horses. Ref: Textbook of Microbiology, Ananthanarayan and Paniker; 9th edition